Intranuclear and intracytoplasmic inclusion bodies are seen in:
1. Pox virus
2. Rabies virus
3. Measles virus
4. Herpes virus

Correct answer: 3. Measles virus

Explanation: Ans. C i.e. Measles virus Inclusion bodies They are nuclear or cytoplasmic aggregates of stainable substances, usually proteins. They typically represent sites of viral multiplication in a bacterium or a eukaryotic cell and usually consist of viral capsid proteins. Examples of viral inclusion bodies in animals are: Intracytoplasmic eosinophilic? - Negri bodies in rabies Guarnieri bodies in Small pox - Henderson-Peterson bodies in Molluscum contagiosum Intranuclear acidophilic? - Cowdry type A in HSV and Varicella zoster virus and Torres bodies in Yellow fever - Cowdry type B in Polio Intranuclear basophilic? - Cowdry type B in Adenovirus - "owl eyes" in CMV Both intranuclear and intracytoplasmic? - Warthin finkeldey bodies in Measles